Investigation of choice for lactating female with a painful lump?
1. USG
2. CT
3. MRI
4. Mammogram

Correct answer: 1. USG

Explanation: Ans. A. USGPainful lump in a lactating female is suggestive of breast abscess. Ultrasound is the investigation of choice for differentiating cystic vs solid swelling.